A Patient on alcohol dependence was given a drug and was advised to avoid alcohol as drug interaction would lead to adverse drug reaction. Which of the following is the drug
1. Disulfiram
2. Acamprosate
3. Naloxone
4. Naltrexone

Correct answer: 1. Disulfiram

Explanation: When alcohol is ingested by a person who is on disulfiram, alcohol-derived acetal de hyde cannot be oxidised to acetate and this leads to an accumulation of acetaldehyde in blood. This causes the important disulfiram-ethanol reaction (DER) characterised by flushing, tachycardia, hypotension, tachypnoea, palpitations, headache, sweating, nausea, vomiting, giddiness and a sense of impending doom associated with severe anxiety. Ref: A Short Textbook of Psychiatry, Niraj Ahuja, 7th Edition, pg. no.41